Which of the given test is used for assessing posterior glenohumeral instability?
1. Jerk test
2. Crank test
3. Fulcrum test
4. Sulcus test

Correct answer: 1. Jerk test

Explanation: Common posterior instability tests include the jerk test, posterior stress test, Kim test, and load and shift test. Crank test is for superior labral pathology which is similar to the McMurray test for the knee. The crank test attempts to catch labrum tears between the two joint surfaces. Both the "hop" test and the "fulcrum" test are helpful in making the diagnosis of a femoral shaft stress fracture. The sulcus test evaluates inferior instability of the humeral head. Ref: Shoulder edited by Richard L.Angelo, 2010, Page 118.